An E Clylinder of oxygen contains approximately how many litres?
1. 500
2. 1200
3. 900
4. 680

Correct answer: 4. 680

Explanation: Medical gas cylinder nomenclature, dimensions and gas capacities Cylinder size C D E F G J Dimensions (mm) Capacities (L) 356x89 457x102 788x102 865x140 1248x40 1450x29 Oxygen 170 340 680 1360 3400 6800 Nitrous Oxide 450 900 1800 3600 9000 - Entonox - 500 - 2000 5000 - Air - - - - 3200 6400 Carbon Dioxide 450 1800 1800 - - - Maximum pressure in the E-cylinders: 750 psig for nitrous oxide(liquid) 2000 psig for air(gaseous) 2000 psig for oxygen(gaseous)